Tattoo marks if destroyed their presence can be inferred from the presence of pigment in:
1. Deep dermis
2. Subcutaneous tissue
3. Regional lymph node
4. Skin of adjoining region

Correct answer: 3. Regional lymph node

Explanation: Ans. (C). Regional Lymph nodesThe regional lymph nodes show a deposition of pigment used in the tattoo.If the pigment is deposited below the epidermis, it will slowly become fainter and the pigments disappear in about 10 yearsSuch a faded tattoo may become visible by the use of UV lamp or Infrared photography.